Which of the following antimicrobial agent do not require reduction in dose in patient with renal failure-
1. Rifampicin
2. Fluconazole
3. Vancomycin
4. Imipenem

Correct answer: 1. Rifampicin

Explanation: Ans. is 'a' i.e., Rifampicin Antimicrobials that do not require dose reduction in renal failure Cephalosporins Fluoroquinolones Cefoperazone o Trovafloxacin Ceftriaxone o Grepafloxacin Cefopiramide o Pefloxacin Macrolides o Moxifloxacin o Erythromycin o Clarithromycin o Azithromycin Other (Miscellaneous) Tetracycline o Clindamycin o Docycycline o Chloramphenicol Minocycline o Metronidazole Antitubercular o Linezolid o Rifampicin o Quinupristin/Dalfopristin o Rifapentine o Nafcillin/Oxacillin o Rifabutin o Penicillins